The principle component of surfactant that reduces surface tension in the alveoli and keeps them inflated and non-collapsed?
1. Dipalmitoyl phosphatidylcholine
2. Phosphatidylglycerol
3. Carbohydrate component
4. Lipopolysaccharide

Correct answer: 1. Dipalmitoyl phosphatidylcholine

Explanation: Ans. a (Dipalmitoyl phosphatidylcholine); (Ref. Ganong, Physiology, 21st ed., 657)SURFACTANT-- produced by type II pneumocytes,# Role--- | Alveolar surface tension,- | Compliance,- | work of inspirationApproximate Composition Of Surfactant: ComponentComposition1.Dipalmitoyl phosphatidylcholine62%2.Phosphatidylglycerol05%3.Other phospholipids10%4.Neutral lipids13%5Proteins08%6Carbohydrate02%Note: Phosphatidylcholine appears in 24th week of intrauterine life.